A 15 year old child presents in the OPD with acute abdominal pain. He also gives history of blood and mucous in the stool. On P/A examination a mass is palpable. The MOST probable diagnosis in this patient is?
1. Meckel's diverticulum
2. Volvulus
3. Intussusception
4. Hypertrophic pyloric stenosis

Correct answer: 3. Intussusception

Explanation: A syndrome of colicky pain, passage of blood per rectum and a palpable mass (intussuscepted segment) is characteristic of intussusception. Ref: CSDT 13/e, Page 629; Bailey & Love 25/e, Page 1191.